Skin and fascia of great toe drains into
1. Superficial inguinal lymph nodes
2. External iliac nodes
3. Internal iliac nodes
4. Deep inguinal nodes

Correct answer: 1. Superficial inguinal lymph nodes

Explanation: Superficial inguinal lymph nodes are located in the superficial fascia of the inguinal region. They are divided into two groups horizontal and vertical resembling the letter T.The horizontal group lie below and parallel to the inguinal ligament. The vertical group lies along the terminal part of the great saphenous vein. The horizontal group is divided into medial and lateral groups.Lateral group receives lymph from the gluteal region, lateral half of anterior abdominal wall below the umbilicus and the entire lower limb except lateral part of foot, heel and lateral part of leg.Deep inguinal lymph nodes receive lymph from superficial inguinal lymph nodes. The external iliac nodes drain lymph from the inguinal nodes and they are further drained into common iliac nodes. The internal iliac nodes drain lymph from the pelvic viscera.Reference: clinical anatomy for students a problem solving approach, Neeta v Kulkarni, 2nd edition, page no.840,841,719